Virus that spreads by neural route is:
1. Rabies virus
2. Polio virus
3. Adeno virus
4. Enterovirus

Correct answer: 1. Rabies virus

Explanation: Option 1: Rabies: The virus may enter the peripheral nervous system directly at the site of bite. In some cases, however, it may replicate in muscle tissue after entering the host. The virus infects the sensory neurons and moves rapidly by axonal transport centripetally to the central nervous system (CNS) for replication. Mode of transmission - Bite (most common), lick on abrasion, corneal transplant, air borne. Mode of spread - Neural Speed of rabies progress in sensory nerve - 3mm/hr. Option 2: Poliovirus spread by hematogenous route. Option 3: Adenoviruses spread through close personal contact, such as touching or shaking hands the air by coughing and sneezing touching an object or surface with adenoviruses on it, then touching your mouth, nose, or eyes before washing your hands Opion 4: Enterovirus spread by the hematogenous route.